In which of the following, alanine peak is seen on MR Spectroscopy ?
1. Tuberculoma
2. Tumors
3. Canavans disease
4. Meningioma

Correct answer: 4. Meningioma

Explanation: Alanine Peak on MRS is seen at 1.4 ppm in Meningioma Meningiomas also show choline peak at 3.2 ppm. Glutamate-glutamine (Glx, peak at 2.1-2.6 ppm) and Glutathione (GSH, peak at 2.95 ppm) may be more specific potential markers in meningioma. Figure: Alanine peak in Meningioma